Most common complication of myelography is
1. Allergic reaction
2. Headache
3. Focal neurological deficit
4. A rachanoi di tis

Correct answer: 2. Headache

Explanation: B i.e. Headache